Which of the following contraceptives can prevent a pregnancy when used alone after an act of unprotected intercourse?
1. Copper IUCD
2. Progesterone or Combined oral contraceptives
3. Mifepristone
4. All of these can work if used within 3 days of Unprotected Intercourse

Correct answer: 4. All of these can work if used within 3 days of Unprotected Intercourse

Explanation: Emergency contraceptives IUCD: Can prevent implantation up till 5th day of unprotected inter-course Progesterone only pill: LNG 1.5 mg :can reduce tubal motility , make endometrium 'Out of Phase" for implantation of embryo Combined Pill: the Yuzpe regimen can prevent embryo implantation since the estrogen component makes the endometrium unreceptive. Mifepristone, Antiprogestin, RU 486, prevents implantation Ulipristal acetate: SPRM: Selective progesterone receptor modulator